True regarding ondansetron are all of the following except:
1. Antiemetic of choice for chemotherapy induced vomiting
2. 5-HT3 receptor antagonist
3. Significant drug interactions
4. May have 5-HT4 antagonism

Correct answer: 3. Significant drug interactions

Explanation: Ans. C: Significant Drug Interactions Ondansetron is the prototype of new class of antiemetic drugs developed to control chemotherapy/radiotherapy induced vomiting, and later found to be highly effective in postoperative nausea and vomiting as well. It blocks the action of 5-HT through 5-HT3 receptors on vagal afferents in the GIT as well as in NTS and CTZ. A minor 5-HT4 antagonistic action has also been shown. It is hydroxylated by CYP 1A2, 2D6 and 3A, but no clinically significant drug interactions have been noted.